Cause of recurrent missed abortion at 10 weeks -
1. Chromosomal abnormality
2. Cervical incompetence
3. Corpus luteum failure
4. Retroverted uterus

Correct answer: 1. Chromosomal abnormality